Most common site of admantinoma of the long bones is -
1. Femur
2. Ulna
3. Tibia
4. Fibula

Correct answer: 3. Tibia

Explanation: Ameloblastoma →  Most common site jaw (mandible).
Ameloblastoma of long bones → Called adamantinoma and is most common in tibial diaphysis.